Coomb's positive hemolytic anemia associated with -
1. TTP
2. PAN
3. SLE
4. HUS

Correct answer: 3. SLE

Explanation: Question repeated . Systemic lupus erythematosus (SLE) is a chronic inflammatory disease that has protean manifestations and follows a relapsing and remitting course. More than 90% of cases of SLE occur in women, frequently starting at childbearing age.